Ethosuximide is used in the treatment of -
1. Tonic-clonic seizure
2. Absence seizure
3. Myoclonic seizure
4. Simple partial seizure

Correct answer: 2. Absence seizure

Explanation: Ans. is 'b' ie., Abscence seizure The only indication for ethosoximide is absence seizures.